A liver lesion showing multiseptate cystic areas with egg shell or mural calcifications on CT scan is suggestive of?
1. Hemangioma
2. Hydatid Cyst
3. Amebic Liver absess
4. HCC

Correct answer: 2. Hydatid Cyst

Explanation: Egg Shell Calcifications /Calcification of cystic wall indicate the calcification of Pericyst of Hydatid Cyst.